Blood cholinesterase level should be estimated for three weeks, in non-fatal cases of poisoning with :
1. Parathion
2. Eldrine
3. Thallium sulphate
4. Arsenic oxide

Correct answer: 1. Parathion

Explanation: A i.e. Parathion